A 65-year-old known case of chronic obstructive airway disease presented with chief complaints of headache, rhinorrhoea, myalgia and retro-orbital and throat pain. He was managed conservatively and sent home. After 3-4 days he again presented to the ER with cough, fever and severe dyspnoea. He was put on oxygen therapy. The condition of the patient deteriorated further. ABG was sent. His blood cultures and sputum samples tested negative for bacterial infections. All of the following statements are true about the organism causing the above condition except: - PARAMETERS VALUES pH 7.42 pCO2 41 mm Hg pO2 34 mm Hg HCO3- 26 mmol/L X-ray chest
1. These are mostly spherical but filamentous in fresh isolates.
2. These are segmented with 8 pieces of RNA
3. Haemolysins are present.
4. Diameter of nucleocapsid is 9mm.

Correct answer: 3. Haemolysins are present.

Explanation: This is a case of influenza infection progressing to ARDS. Emergency warning signs Shortness of breath Chest pain Dizziness Confusion Extreme vomiting Flu symptoms that improve but then relapse with a high fever and severe cough (can be bacterial pneumonia) Cyanosis High fever and a rash. Inability to drink fluids Chest x-ray of person with severe ARDS demonstrating widespread "ground-glass" appearing opacities in both lungs. Influenza virus 80-120 nanometers in diameter Viral envelope contains the glycoproteins hemagglutinin and neuraminidase. Central core has the viral RNA genome. Genome contains seven or eight pieces of segmented negative-sense RNA